Lacrimal gland is a derivative of
1. Ectoderm
2. Mesoderm
3. Endoderm
4. Neural crest cells

Correct answer: 1. Ectoderm

Explanation: (A) EctodermDERIVATIVES OF EMBRYONIC TISSUESNeuroectodermCranial Neural Crest CellsSurface EctodermMesoderm* Neurosensory retina* Retinal pigment epithelium* Pigmented ciliary epithelium* Nonpigmented ciliary epithelium* Pigmented iris epithelium* Sphincter & dilator muscles of iris* Optic nerve, axons & glia* Vitreous* Corneal Stroma & endothelium* Sclera* Trabecular meshwork* Sheaths & tendons of extraocular muscles* Connective tissues of iris* Ciliary muscles* Choroidal stroma* Melanocytes (uveal & epithelial)* Meningeal sheaths of the optic nerve* Schwann cells of ciliary nerves* Ciliary ganglion* Most orbital bones, cartilage & connective tissue of the orbit* Muscular layer & connective tissue sheaths of all ocular & orbital vessels* Epithelium, glands, cilia of skin of lids & caruncle* Conjunctival epithelium* Lens* Lacrimal gland & drainage system* Vitreous* Fibers of extraocular: muscles endothelial lining of all orbital & ocular blood vessels; temporal portion of sclera, vitreous